Which of the following statements about iodine is false?
1. Contraindicated in hyperthyroidism
2. Causes iodism
3. Inhibits the release of thyroxine
4. Inhibits the synthesis of iodo thyroxine and iodothyronine

Correct answer: 1. Contraindicated in hyperthyroidism

Explanation: Ans. (A) Contraindicated in hyperthyroidism(Ref: KDT 8/e p276-277)Iodine and iodides are useful in Graves' disease and make the gland shrink, firm and less vascular. These can inhibit all facets of thyroid function. Chronic iodine overdose is called iodism.